Ideal treatment of B/L retinoblastoma –
1. Enucleation
2. Radiation
3. Chemotherapy
4. Cyclophotocoagulation

Correct answer: 3. Chemotherapy

Explanation: Chemotherapy is now the first line of treatment of choice in most cases of bilateral retinoblastoma.

"Chemotherapy is the most commonly employed therapeutic option for advanced bilateral retinoblastoma in most part of the world".  —Clinical ophthalmology
"Bilateral retinoblastoma is currently treated with initial chemotherapy".   —Devita